Vector for scrub typhus:
1. Reduvid bug
2. Trombiculid mite
3. Enteric pathogens
4. cyclops

Correct answer: 2. Trombiculid mite

Explanation: Ans. is. 'b' i. e., Trombiculid mite